In the central nervous system (CNS), oligodendrocytes share a similar function with
1. Gemistocytes
2. Astrocytes
3. Schwann cells
4. Microglial cells

Correct answer: 3. Schwann cells

Explanation: Oligodendrocytes in the central nervous system (CNS) share a similar function with Schwann cells in the peripheral nervous system-synthesis of myelin. Oligodendrocytes are small, round, lymphocyte-size cells that produce and maintain CNS myelin, which is primarily located in the white matter. Certain diseases, such as progressive multifocal leukoencephalopathy, caused by a papovavirus, specifically attack oligodendrocytes and produce demyelination. Oligodendrogliomas are malignant tumors that are derived from oligodendrocytes. However, unlike Schwann cells, oligodendrocytes contribute segments of myelin sheaths to more than one axon.
Gemistocytes are reactive astrocytes that have an eosinophilic cytoplasm. They are commonly seen along the periphery of cerebral infarctions. Some astrocytomas have a gemistocytic appearance.
Astrocytes provide the structural framework for the neurons and are analogous to the fibroblasts in connective tissue. However, scarring in the brain is not associated with collagen synthesis but with filling in the defect with the cellular processes of astrocytes. A cerebral abscess is the only example of CNS repair with collagen, which is derived from the blood vessels.
Microglial cells are derived from monocytes. They are the phagocytic cell of the CNS.
Ependymal cells line the ventricles of the brain and the spinal canal. They do not produce CSF nor are they responsible for reabsorption of CSF, a function relegated to arachnoid cells.